Consider the following 1.Lactic Acid 2.Sorbic Acid 3.Sulphurous acid Which of the above are food preservatives
1. 1 and 2 only
2. 2 and 3 only
3. None of these
4. 1, 2 and 3

Correct answer: 4. 1, 2 and 3

Explanation: Food preservatives Substances, which if added to food, are capable of inhibiting, retarding or arresting the process of fermentation acidification or other decomposition Class I preservatives Class II preservatives Common salt Benzoic acid Sugar, Dextrose, Glucose Sulphuric acid Spices Sorbic acid, Lactic acid Honey Nicin Vinegar, Acetic acid Propionic acid Ref : THE PFA Act 1954 Pgno : 91